Long thoracic nerve arises from nerve roots -
1. C6 C7 T1
2. C7 T1 T2
3. C5 C6 C7
4. C5 to T1

Correct answer: 3. C5 C6 C7

Explanation: Ans. is 'c' i.e., C5 C6 C7 o Root value of long thoracic nerve is C5C6 C7Supraclavicular branches of brachial plexuso Branches of brachial plexus which are above the clavicle are called supraclavicular branches.o These arise from roots and trunks.Supraclavicular branches of brachial plexusFrom roots1. Nerves to scaleni and longus colli2. Branch to phrenic nerve3. Dorsal scapular nerve4. Long thoracic nerveC5, 6, 7, 8C5C5C5, 6 (7)From trunks1. Nerve to subclavius2. Suprascapular nerveC5,6C5, 6Infraclavicular branches of brachial plexuso Branches of brachial plexus which are below the clavicle are called infraclavicular branches.o These arise from cords.Infra clavicular branches of brachial plexusLateral cordLateral pectoralC5, 6, 7MusculocutaneousC5, 6, 7Lateral root of medianC(5), 6, 7Medial cordMedial pectoralC8, T1Medial cutaneous of forearmC8, T1Medial cutaneous of armC8,T1Medial root of medianC8,T1UlnarC (7), 8, T1Posterior cordUpper subscapularC5, 6Lower subscapularC5, 6Thoracodorsal (Nerve to latissimus dorsi, middle subscapular nerve)C6, 7, 8AxillaiyC5,6RadialC5, 6, 7, 8, (Tl)